All of the following features are seen in the viral pneumonia, EXCEPT:
1. Bronchiolitis
2. Presence of interstitial inflammation
3. Predominance of alveolar exudates
4. Multinucleate gaint cells in the bronchiolar wall

Correct answer: 3. Predominance of alveolar exudates

Explanation: Most predominant histological features of viral pneumonia are seen in the epithelium and adjacent interstitial tissue. Alveolar exudates are not seen in viral pneumonia. Bronchiolitis is present and is characterized histologically by neutrophilic exudates in the airway lumen and a predominantly mononuclear infiltrate in its wall. Ref: Textbook of Pediatric Emergency Medicine By Gary R. Fleishe, Page 914 ; Imaging of Pulmonary Infections By Nestor Luiz Mulle, Page 94